Which of the following is a component of kangaroo mother care-
1. Incubator
2. Heat therapy
3. Exclusive breast feed
4. Phototherapy

Correct answer: 3. Exclusive breast feed

Explanation: Ans. is 'c' i.e., Exclusive breast feed Kangaroo mother care (KMC)* Special way for LBW body* Benefit 1) Effective Temperature control2) Breast feeding3) Infection control4) Parental bonding5) Weight gain6) Apnea decreases7) Mother satisfaction * Component 1) Skin to skin contact2) Exclusive breastfeeding The KMC procedure* The baby should be placed between the mother's breasts in an upright position.# The head should be turned to one side and in a slightly upturned position. This position helps in breathing of and allows eye-to-eye contact between the mother and her baby.# The legs and arms should be folded.# Baby's abdomen should be at the level of the mothers upper abdomen.# Support the baby bottom with a sling/binder."Father can provide kangaroo care for their babies too."